Reye's syndrome following influenza is most commonly associated with -
1. Type A
2. Type B
3. Type C
4. All of the above

Correct answer: 2. Type B

Explanation: Influenza type associated with Reyes syndrome REF:
ANATHANARAYANAN MICROBIOLOGY NINTH EDITION PAGE.500